A middle aged man came with fever 2 weeks. He also complains of occasional night sweats and has significant weight loss. BAL was done, in which MTB was not detected. Extra pulmonary TB is suspected. Which of the following sites is most likely affected?
1. Skeletal system
2. Gastrointestinal tract
3. Lymph nodes
4. Genito urinary tract

Correct answer: 3. Lymph nodes

Explanation: Lumph nodes are the most common site of extrapulmonary TB. Associated pulmonary disease is present in fewer than 50% of cases. The diagnosis is established by fine needle aspiration biopsy. Cultures are positive in 70- 80%. In descending order of frequency, the extrapulmonary sites most commonly involved in TB are the lymph nodes, pleura, genitourinary tract, bones and joints, meninges, peritoneum and pericardium. Reference: Ananthanarayan and Paniker's Textbook of Microbiology Tenth edition